Angiodysplasia is seen in:
1. Stomach of adult
2. Jejunum of a child
3. Left side of the colon
4. Right side of the colon

Correct answer: 4. Right side of the colon

Explanation: Ans. (d) Right side of the colon in adultsRef: Bailey & Love 26th ed. Ch 69/1171* Angiodysplasia is a degenerative lesion of previously healthy blood vessels found most commonly in the cecum and proximal ascending colon.* 77% of angiodysplasias are located in the cecum and ascending colon, 15% are located in the jejunum and ileum, and the remainder are distributed throughout the alimentary tract. These lesions typically are non- palpable and small (< 5 mm).* Angiodysplasia is the most common vascular abnormality of the GI tract. After diverticulosis, it is the second leading cause of lower GI bleeding in patients older than 60 years.